The systolic pressure in the right ventricle is
1. 25 mmHg
2. 85 mmHg
3. 95 mmHg
4. 100 mmHg

Correct answer: 1. 25 mmHg

Explanation: The systolic pressure in the right ventricle is about 25 mmHg. Normal Value for Hemodynamic parameters Parameter Pressure (mmHg) Arterial BP Systolic Diastolic Mean Arterial pressure(MAP) 90-140 60-90 70-105 Right Ventricle Systolic Diastolic 15-25 0-8 Pulmonary artery Systolic Diastole Mean 15-25 8-15 10-20 Pulmonary capillary wedge pressure Mean 6-12 Left atrium Mean 6-12 Right atrium ( central venous pressure) Mean 2-6 Ref: Ganong's Review of Medical Physiology 26th edition Pgno: 529